Multifactorial inheritance is most likely to play a significant role in the appearance of :
1. Achondroplasia
2. Lysosomal storage disease
3. Cleft lip
4. Huntington disease

Correct answer: 3. Cleft lip

Explanation: Multifactorial inheritance plays a significant role in the appearance if cleft lip. Multifactorial Inheritance: Refers to traits that are caused by a combination of inherited, environmental, and stochastic factors These include the following: Children (Congenital malformation) Adult Pyloric stenosis Neural tube defects Congenital heart defects Congenital dislocation of hip Cleft lip and cleft palate Diabetes mellitus Hypertension Coronary heart disease Gout Schizophrenia Ref: Nelson textbook of pediatrics 21st edition pgno: 652